The number of walls in the apical portion of the defect is often greater than that of its occlusal portion, is referred to as
1. Osseous Craters
2. Combined osseous defect
3. Horizontal defect
4. Vertical defect

Correct answer: 2. Combined osseous defect